Best imaging modality in patients with breast implants is:
1. MRI scan
2. CT scan
3. Mammography
4. Radionuclide scan

Correct answer: 1. MRI scan

Explanation: Ans. MRI scan